Length of esophagus is ?
1. 10 cm
2. 15 cm
3. 25 cm
4. 40 cm

Correct answer: 3. 25 cm

Explanation: Ans. is 'c' i.e., 25 cm Oesophagus 25cm longAerial supply:Cervical part - Inferior thyroid aeryThoracic part - Oesophageal branches of aoaAbdominal part - Left gastric aeryVenous drainage:Cervical part - Brachiocephalic veinsThoracic part - Azygous veinsAbdominal part - Left gastric veinLymphatic drainage:Cervical part - Deep cervical nodesThoracic part - Posterior mediastinal nodesAbdominal part - Left gastric nodesNerve supply:Parasympathetic - Upper 1/2 - Recurrent laryngeal nerves Lower 1/2 - Oesophageal plexus (vagus)Sympathetic - Upper 1/2 - Fibres from middle cervical ganglion Lower 1/2 - Fibres from upper 4 thoracic ganglia Oesophagus shows 4 constrictions,At its beginning, 15cm from incisorsAoic arch - 22.5cm from incisorsLeft bronchus - 27.5cm from incisorsDiaphragm - 37.5cm from incisorsLower esophageal splincter is at diaphragmatic constriction.Oesophagus pierces the diaphragm at TIO level. Ends by opening into the bstomach at T11 level.